True about Henoch-Schonlein purpura is following except:
1. Can present with abdominal pain
2. Primarily a small vessel vasculitis
3. Is associated with a raised IgE in mesangium
4. 50% patients can present with GN

Correct answer: 3. Is associated with a raised IgE in mesangium

Explanation: Ans. C. Is associated with a raised IgE in mesangiumHenoch-Schonlein purpura is one of the most common small vessel vasculitis in children. It can present with abdominal pain, arthralgia, and rashes in the dependent portions of the body. About 50% children can develop hematuria (glomerulonephritis). A strong evidence of renal involvement is increased IgA deposits in the renal mesangium. Treatment is often difficult. Corticosteroids have the best supporting evidence for improvement in these children.